Which is non lymphatic filarisis -
1. Loa loa
2. Wucheria bancrofti
3. Brugia malaiq
4. Brugia timori

Correct answer: 1. Loa loa

Explanation: loa loa - eye worm Adult worms live in subcutaneous connective tissues of man Also occur in subconjuctival tissues of man (refer pgno:173 baveja 3 rd edition)